Which of the following is a cardioprotective fatty acid?
1. Palmitic acid
2. Stearic acid
3. Oleic acid
4. Omega-3 fatty acids

Correct answer: 4. Omega-3 fatty acids

Explanation: Vegetable oils and PUFA Vegetable oils (e.g. sunflower oil) and fish oils contain polyunsaturated fatty acids (PUFA). They are required for the esterification and final excretion of cholesterol. So PUFA is helpful to reduce cholesterol level in blood. Omega-3 fatty acids from fish oils reduce LDL and decrease the risk of CAD. The recommended intake of omega- 3 fatty acids (fish oils) is 1 g/day (EPA and DHA combined).Ref: DM Vasudevan - Textbook of Biochemistry, 8th edition, page no: 297